All are true regarding selective estrogen receptor down–regulator (SERD), Fulvestrant except:
1. Used for treatment of advanced breast cancer
2. Is a selective estrogen antagonist
3. Is slower and short acting and less safer than SERMs
4. Administered as once a month i.m. dose

Correct answer: 3. Is slower and short acting and less safer than SERMs